Vein draining to IVC is -
1. Left testicular vein
2. Rt. suprarenal vein
3. Lt. ovarian vein
4. Lt. suprarenal vein

Correct answer: 2. Rt. suprarenal vein

Explanation: Veins draining into inferior vena cava
-        Common iliac veins
-        Renal veins
-        Right gonadal vein
-        Right suprarenal vein
-        Inferior phrenic veins
-        Hepatic veins
-        3rd & 4th lumbar veins